Which are first-order neuron in the optic pathway
1. Bipolar cells
2. Ganglionic cells
3. Cells of lateral geniculate body
4. Astrocytes

Correct answer: 1. Bipolar cells

Explanation: Visual pathway

Receptors- Rods & Cons
First order neurons- Bipolar cell axons (In retina)
Second order neurons- Ganglion cell axons ( In optic disc, optic nerve, optic chiasma, optic tracts)
Third order neurons- Lateral geniculate body nerve cell axons (optic radiation)